Aspirin causes mucosal injury by:
1. Ion trapping
2. Ionization in stomach
3. Biotransformation
4. Increase in H+ secretion

Correct answer: 1. Ion trapping

Explanation: Ans: a (Ion trapping) Ref: Tripathi, 6th ed,p. 188Aspirin remains unionized and diffusible in the acid gastric juice, but it ionizes on entering the mucosal cell and also becomes indiffusible. This "ion trapping" in the gastric mucosal cell enhances gastric toxicity. Furthur, aspirin particle coming in contact with gastric mucosa promotes local back diffusion of acid leading to focal necrosis of mucosal cells and capillaries which in turn leads to acute ulcers, erosive gastritis, congestion and microscopic haemorrhages.